Killing of a 6 months old child by parents is known as ?
1. Genocide
2. Infanticide
3. Neonatal homicide
4. Abortion

Correct answer: 2. Infanticide

Explanation: Ans. is 'b' i.e., Infanticide Infanticide refers to killing a child after delivery, to till 1 year after birth. Infanticide in India is considered equivalent tomurder and is tried under section 302 IPC. Law considers every child as born dead and therefore in a case of infanticide,it has to be proved that the child was born alive and was then killed. Thus the first question in the investigation of a case of infanticide is, whether the child was still born or dead born or whether it was born live.